Following are the uses of Polydimethylsiloxane except?
1. Antifoaming agent
2. Hydraulic fluids
3. Skin moisturizing agent
4. Hair coloring agent

Correct answer: 4. Hair coloring agent

Explanation: Ans. is 'd' i.e., Hair coloring agent Uses: Surfactants and antifoaming agents Hydraulic fluids and related applications Soft lithography Medicine and cosmetics: Activated dimethicone, a mixture of polydimethylsiloxanes and silicon dioxide (sometimes called simethicone), is often used in over-the-counter drugs as an antifoaming agent and carminative. Skin: PDMS can be used in the treatment of head lice on the scalpand dimethicone is used widely in skin?moisturizing lotions where it is listed as an active ingredient whose purpose is "skin protection". Hair: PDMS compounds such as amodimethicone, are effective conditioners Foods: PDMS is added to many cooking oils (as an antifoaming agent) to prevent oil splatter during the cooking process. Domestic and niche uses